A 50-yr-old male presents with erythematous shallow erosions with blisters and yellowish scales over seborrheic areas. Oral mucosa is not involved. Immunopathology demonstrates IgG deposition on keratinocytes and autoantibodies against Dsg-1. The diagnosis is?
1. Pemphigoid
2. Pemphigus vulgaris
3. Pemphigus foliaceous
4. Dermatitis herpetiformis

Correct answer: 3. Pemphigus foliaceous

Explanation: Pemphigus Foliaceous: Characterized by small flaccid bullae with crusting and scaling. Bullae rupture, resulting in moist erosions and cornflakes like crusts. Nikolsky's sign is positive Oral mucosa involvement is absent. associated with thyroid disease, rheumatoid arthritis and type 1 DM DIF: Perilesional skin biopsy demonstrates IgG on surface keratinocytes. Indirect immunofluorescence: Circulating IgG antibodies against keratinocytes cell surface antigen. Autoantigens: Ab directed against Desmoglein1 Rx: Topical and systemic glucocorticoids are mainstay.